Imaging study of choice for para nasal sinuses is?
1. USG
2. CT Scan
3. XrayPNS
4. FDG PET scan

Correct answer: 2. CT Scan

Explanation: Ans. (b) CT ScanRef: Scott-Brown's Otorhinolaryngology: Head and Neck Surgery7ed p-1086